Thanatometer is used for?
1. Measure JOP after death
2. Measuring moisture content in the body after death
3. Measuring core body temperature after death
4. Measuring extent of rigor mortis after death

Correct answer: 3. Measuring core body temperature after death

Explanation: Thanatometer is used to measure core body temperature after death. Clinical thermometer which is commonly used in living persons can't be used. Most common site for measuring core body temperature is Rectum, except in cases of sodomy.